Which of the following helps to anchor an epithelial cell to the basement membrane?
1. Adherent junction
2. Connexon
3. Gap junction
4. Hemidesmosome

Correct answer: 4. Hemidesmosome

Explanation: Hemidesmosomes are multiprotein complexes that facilitate the stable adhesion of basal epithelial cells to the underlying basement membrane. The mechanical stability ofhemidesmosomes relies on multiple interactions of a few protein components that form a membrane-embedded tightly-ordered complex. Ref ganong's review of medical physiology 25e